A patient with bipolar disease had a manic episode. Drug of choice in this situation is:
1. Lithium
2. Amphetamine
3. Diazepam
4. Alprazolam

Correct answer: 1. Lithium

Explanation: Lithium carbonate is the drug of choice in treating the manic phase of bipolar disease and it is useful in preventing relapses of depression. Chlorpromazine, haloperidol, or one of the newer antipsychotic agents or ECT if these drugs are ineffective--can be used to control the mania until lithium carbonate becomes effective, usually a matter of 4 or 5 days. Ref: Samuels M.A. (2009). Chapter 57. Depression and Bipolar Disease. In M.A. Samuels (Ed), Adams and Victor's Principles of Neurology, 9e